C3 convertase acts on
1. C4b2b
2. C4b2B3a
3. C4b
4. C3

Correct answer: 4. C3

Explanation: The complement system consists of plasma proteins that play an important role in host defence (immunity) and inflammation. the critical step in the generation of biologically active complement products is the activation of C3 C3 cleavage occurs by three pathways: classical pathway, the alternative pathway, lectin pathway, All three pathways lead to the formation of a C3 convertase that cleaves C3 to C3a and C3b. Basic Pathology, Robbins 9TH ED Page no.: 50